Sarcoidosis is characterized by
1. Asteroid bodies
2. Schaumann bodies
3. Non-caseating granulomas
4. All of the above

Correct answer: 4. All of the above

Explanation: Ans. d (All of the above) (Ref. Harrison's Internal Medicine 17th ed., Chapter 322)# Asteroid bodies# Schaumann bodies# esidual bodiesare characteristic pathologic features of sarcoidosis (not pathognomonic though).SARCOIDOSIS# characterized by immune-mediated, widespread noncaseating granulomas and elevated serum ACE levels.# Common in black females. Often asymptomatic except for enlarged lymph nodes.# Incidental findings on CXR of bilateral hilar adenopathy and/or reticular opacities.# Associated with restrictive lung disease (interstitial fibrosis), erythema nodosum, lupus pernio, Bell palsy, epithelioid granulomas containing microscopic Schaumann and asteroid bodies, uveitis, and hypercalcemia (due to*la-hydroxylase-mediated vitamin D activation in macrophages).# HLA haplotypes such as HLA-DRB1*1101 are associated with an | risk for developing sarcoidosis.# A positive gallium scan can support the diagnosis if | activity is noted in the parotids and lacrimal glands (Panda sign) or in the right paratracheal and left hilar area (lambda sign).# CD4/CD8 ratio of these | lymphocytes in the BAL fluid. A ratio of > 3.5 is strongly supportive of sarcoidosis.# The Kviem-Siltzbach procedure is a specific diagnostic test for sarcoidosis.# Treatment: steroids, Hydroxychloroquine, Methotrexate, Azathioprine, Infliximab.